Ideal media to transport the avulsed tooth is:
1. Socket.
2. Milk
3. Water.
4. Saline.

Correct answer: 1. Socket.

Explanation: IDEAL media to transport avulsed tooth is → in SOCKET 
NATURAL media → MILK (low fat) is the best media for storage of avulsed tooth.